Most common heart valve involved in IV drug user is -
1. Mitral valve
2. Aortic valve
3. Pulmonary valve
4. Tricuspid valve

Correct answer: 4. Tricuspid valve